False negative hydrostatic test in live fetus is for
1. Atelectasis
2. Aicial respiration
3. Emphysema
4. Putrefaction

Correct answer: 1. Atelectasis

Explanation: False negative hydrostatic test can be seen in :- 1. Diseases e.g. : acute edema, pneumonia, Congenital syphilis. 2. Atelectasis False positive hydrostatic test can be seen in :- 1. Presence of putrified gases. 2. Artificial inflation.